A six-year-old child is admitted to the Paediatric ICU for seizures. He has been on treatment with Tacrolimus and Prednisolone. On investigations, his blood urea is 68 mg.dk Serum Sodium is 136 meq/l likely cause of his seizures -
1. Uremia
2. Hyponatremia
3. Hypocalcemia
4. Tacrolimus Toxicity

Correct answer: 4. Tacrolimus Toxicity